Propranolol, a non–selective beta blocker can be prescribed to decrease anxiety associated with:
1. Chronic neurotic disorder
2. Schizophrenia
3. Short term stressful situations
4. Endogenous depression

Correct answer: 3. Short term stressful situations